Raised serum amylase levels are used to diagnose
1. Autoimmune disease
2. Degenerative diseases
3. Acute cholecystitis
4. Acute pancreatitis

Correct answer: 4. Acute pancreatitis

Explanation: Answer is 'D' (Acute pancreatitis) 'The diagnosis of acute pancreatitis is usually established by detection of an increased level of serum amylase Harrison 16th 'Serum amylase level is the standard laboratory test carried out to confirm the diagnosis of acute pancreatitis' Kumar & Clarke 5th Measurement during first 24 hours of onset of pain An elevation of three times the upper limit of normal clinches the diagnosis (provided overt salivary gland disease and gut perforation or infarction are excluded) Measeurement late after presentation After 48-72 hrs even with continuing evidence of pancreatitis, total serum levels tend to return to normal With a late presentation thus, serum amylase levels may give a false negative result. Serum amylase level may be increased in acute cholecystitis, but it does not form a criteria for its diagnosis. There is no definitive correlation between the severity of pancreatitis and the degree of serum amylase elevation. An elevated serum lipase Q. or trypsin value is more specific / diagnostic of acute pancreatitis than serum amylase - (Lipase is the single best enzyme to measure for acute pancreatitis Q).